Method of autopsy in which various systems organs are removed en masse:
1. Rokitansky
2. Virchow
3. Gasses
4. Lettulle

Correct answer: 4. Lettulle

Explanation: Dissection techniques Defined by Organ by organ Virchow En block Ghon In situ method Rockitansky En masse Letulle